NOT causing Peripheral Neuropathy
1. Herpes
2. Leprosy
3. Syphilis
4. Candida

Correct answer: 4. Candida

Explanation: (D) Candida # INFECTIONS CAUSING NEUROPATHY:> Certain viral or bacterial infections can cause peripheral neuropathy, including Lyme disease, shingles (varicella-zoster), Epstein-Barr virus, hepatitis C, leprosy, diphtheria, syphilis and HIV.